Yellowing of the skin occurs in hypothyroidism because of:
1. Increased bilirubin
2. Increased cholesterol
3. Increased carotene
4. Increased

Correct answer: 3. Increased carotene

Explanation: Answer is C (Increased Carotene): The yellow colour of skin in patients with hypothyroidism results from the accumulation of carotene (carotenoderma) in the top layer of the epidermis (Stratum Corneum). Increased levels of carotene are believed to result from impaired hepatic conversion of beta-carotene to Vitamin A. 7'4 is essential for conversion of carotene to vitamin A. In hypothyroidism, this reaction is very slow and carotene accumulation in the blood and tissue (carotenaemia) gives a yellow colour to the skin (carotenoderma). Carotenaemia can be clinically differentiated from jaundice by the fact that sclera of the eyeballs are not affected Carotenaemia